Lomard's test is used to diagnosis ?
1. Conductive hearing loss
2. Sensorineural hearing loss
3. Mixed hearing loss
4. Non-organic hearing loss

Correct answer: 4. Non-organic hearing loss

Explanation: Ans. is 'd' i.e., Non-organic hearing loss